Incised wound which is not a feature -
1. Length is the greatest dimension
2. Width is more than the thickness of the blade
3. Margins are inverted
4. Hesitation cuts are seen in suicidal attempt

Correct answer: 3. Margins are inverted

Explanation: The synopsis of forensic medicine & toxicology ; Dr k.s.narayan reddy ; 28th edition ; Pg .no. 112 ; Option A,B,D are correct about an incised wound however the statement D which states that the margin is invereted is wrong . In an incised wound margins are clean cut ,well defined & usually EVEED .